Cephalic vein drains into -
1. Brachial vein
2. Subclavian vein
3. Axillary vein
4. IVC

Correct answer: 3. Axillary vein

Explanation: Ans. is 'c' i.e., Axillary vein Veins of upper limbo Cephalic vein is the paraxial vein of upper limb (like great saphenous vein of lower limb). It begins from the lateral end of dorsal venous arch. It is accompanied by lateral cutaneous nerve of forearm and terminal part of radial nerve.o Basilic vein is the postaxial vein of upper limb (like short saphenous vein of lower limb). It begins from the medial end of dorsal venous arch. It is accompanied by posterior branch of medial cutaneous nerve of forearm and terminal part of dorsal branch of ulnar nerve.The superficial veins of the upper limb : (a) On the front, and (b) on the back of the limbo Basilic vein continue as axillary vein. Cephalic vein drains into axillary vein by : (i) Draing into basalic vein through median cubital vein (greater proportion), and (ii) Directly draining into axillary vein.